All are lysosomal disorders, except
1. Gaucher's disease
2. Tay Sach's disease
3. Neimann Pick disease
4. Von Geirke's disease

Correct answer: 4. Von Geirke's disease

Explanation: Enzyme deficiencies of :Gaucher's disease - Beta-glucosidaseNiemann-Pick disease - SphingomyelinaseTay-Sachs disease - Hexosaminidase AGlycogen storage disease, Type l (von Gierke's disease)Enzyme-deficient-Glucose-6-phosphataseChromosome location-17Salient features-Hepatomegaly, cirrhosis, hypoglycemia, ketosis, hyperuricemiaRef: D M Vasudevan 7th edition Page no: 144, 430